A pregnant woman is found to have excessive accumulation of amniotic fluid. Such polyhydramnios is likely to be associated with all of the following conditions except :
1. Twinning
2. Microencephaly
3. Oesophageal atresia
4. Bilateral renal agenesis

Correct answer: 4. Bilateral renal agenesis

Explanation: Ans. is d i.e. Bilateral renal agenesis This is quite an easy one - As we all know that Renal agenesis leads to oligohydramnios and not polyhydramnios But that does not mean, we should not know more about polyhydramnios. Polyhydramnios at a Glance. It is a condition where liquor amnii is in excessive amount i.e., > 2 litresdeg. But since quantitative assessment of liquor amnii is impractical. Most common used definition is by ultrasound assessment i.e., when amniotic fluid index (AFI) is > 25 cmdeg or finding of a pocket of fluid measuring 8 cmsdeg or more in vertical diameter. Grades of Polyhydramniosdeg Mild defined as pockets measuring 8 - 11 cm in vertical dimension (seen in 80% cases). Moderate defined as pocket measuring 12 - 15 cms in vertical dimension (seen in 15% cases). Severe defined as free floating fetus found in pockets of fluid of 16 cms or more (seen in 5% cases).